Rheumatoid Arthritis is best diagnosed by
1. Anti-CCP Antibodies
2. IgA Rheumatoid Factor
3. IgG Rheumatoid Factor
4. IgM Rheumatoid Factor

Correct answer: 1. Anti-CCP Antibodies

Explanation: Answer is A (Anti-CCP Antibodies): 'Anti CCP antibodies are the most specific blood test for rheumatoid arthritis (specificity -95%)' - CMDT 09/727 Anti-cyclic citrullinated peptide (anti-CCP) antibody testing is particularly useful in the diagnosis of rheumatoid arthritis, with high specificity, presence early in the disease process, and ability to identify patients who are likely to have severe disease and irreversible damage. Anti-CCP antibodies have not been found at a significant frequency in other diseases to date, and are more specific than rheumatoid factor for detecting rheumatoid arthritis.